Massive transfusions results in -a) DICb) Hypothermiac) Hypercalcemiad) Thrombocytopenia
1. abc
2. abd
3. acd
4. bcd

Correct answer: 2. abd